All of the following are true about TB Spine except ?
1. Anterior disease
2. Most common location is dorsolumbar
3. Earliest symptom is pain
4. All cases are managed surgically

Correct answer: 4. All cases are managed surgically

Explanation: Middle Path Regimen is used - Rest + Anti tubercular therapy + Surgery (if indicated) -Indication of surgery in TB Spine Surgical intervention reserved for following No recovery after a fair trial of ATT(3 to 4 weeks) Neurological deficit starts during the conservative management itself Worsening of neurological deficit on management with ATT Recurrence of neurological complication on ATT Prevertebral cervical abscess, difficulty in respiration and deglutition Severe neurological deficit on start like sphincter involvement or flaccid paralysis.